Superficial perineal muscles include:
1. Iliococcygeus
2. Ischiococcygeus
3. Bulbospongiosus
4. Levator ani

Correct answer: 3. Bulbospongiosus

Explanation: C i.e., Bulbospongiosus